Centrally acting antihypertensive drug is ?
1. Phenoxybenzamine
2. Methy ldopa
3. Propanolol
4. Prazosin

Correct answer: 2. Methy ldopa

Explanation: Ans. is 'b' i.e., Methyldopa o Centrally acting sympatholytic antihypertensives are clonidine, methyldopa, guanabenz, guanfacine, moxonidine and rilmenidine.